Drug of choice in methicillin-resistant Staphylococcus aureus
1. Ceftriaxone
2. Ceftazidime
3. Ampicillin
4. Vancomycin

Correct answer: 4. Vancomycin